Fungi without sexual cycle are grouped under:
1. Phycomycetes
2. Ascomycetes
3. Basidiomycetes
4. Fungi imperfecti

Correct answer: 4. Fungi imperfecti

Explanation: Deturomycetes or fungi imperfecti, they contain septate hyphae and are known for lack of sexual state.
Ref : textbook of microbiology, C P Baveja 5th edition pg no:544